The posterior 1/3 of the tongue is supplied by nerve -
1. Hypoglossal
2. Chorda tymapni
3. Lingual
4. Glossopharyngeal

Correct answer: 4. Glossopharyngeal

Explanation: Taste sensation as well as general sensations from posterior 1/3 of tongue are carried by glossopharyngeal nerve.